PAN-SH site of fatty acid synthase complex accepts
1. Acetyl CoA
2. Malonyl CoA
3. Propionyl CoA
4. All

Correct answer: 2. Malonyl CoA

Explanation: Malonyl - CoA 

Central thiol or Pan -SH or 4-phosphopantetheine of ACP →  Accepts malonyl group
Peripheral thiol or cysteine -SH group of 3-ketoacyl synthase  → Accepts acetyl group